Burkitt's lymphoma is positive for ?
1. CD5
2. CD 15
3. CD 20
4. CD 25

Correct answer: 3. CD 20

Explanation: Ans. is `c' i.e., CD 20 Burkitt's lymphoma is a tumor of mature B cells that express surface IgM, CD19, CD20, CD10, and BCL6, a phenotype consistent with a germinal center B-cell origin.